The treatment of traumatic rupture of tympanic membrane is-
1. Aural packing
2. Chloromycetin ear dorps
3. Tympanoplasty
4. No active treatment

Correct answer: 4. No active treatment

Explanation: Ans. is 'd' i.e., No active treatment T/T of traumatic rupture of tympanic membrane. Systemic antibiotics and topical optic medications are not required unless suppurative otorrhoea is present. Close follow up examination is necessary to ensure that Spontaneous healing occurs. If the tympanic membrane does not heal within several months, surgical graft repair should be considered.